Low serum iron and low serum ferritin is seen in
1. Iron deficiency anaemia
2. Chronic kidney disease
3. Sideroblastic anaemia
4. Fanconi anaemia

Correct answer: 1. Iron deficiency anaemia

Explanation: Low serum iron is seen in iron deficiency anemia. Serum iron will be also low in case of anemia of chronic diseases and also in case of malabsorption, pregnancy and in puberty where the demand increases. Serum ferritin is a measure of iron stores and is the best single test to confirm iron deficiency. Reference : Davidson, 23rd Edition, page no : 941.